Complete resection of thyroid gland on one side while leaving less than 1 g of tissue adjacent to the ligament of berry on opposite side is termed
1. Thyroid lobectomy
2. Subtotal thyroidectomy
3. Near-total thyroidectomy
4. Bilateral lobectomy

Correct answer: 3. Near-total thyroidectomy

Explanation: Total thyroidectomy involves excision of all visible thyroid tissue. Near-total thyroidectomy is complete resection on one side while leaving a remnant of thyroid tissue on the contralateral side, leaving less than 1 g of tissue adjacent to the RLN at the ligament of Berry. Subtotal thyroidectomy leaves a remnant of thyroid tissue bilaterally (4-5gm V shaped tissue). The typical reason to leave a remnant at the ligament of Berry is the pursuit of preservation of the RLN and blood supply to the parathyroids. Thyroid lobectomy typically includes removal of the thyroid isthmus and pyramidal lobe (if present). Thyroid isthmusectomy removes only the isthmus and is infrequently indicated.